"Limey bile" is -
1. Present in the CBD
2. Thin and clear
3. Like toothpaste emulsion in the gall bladder
4. Bacteria rich

Correct answer: 3. Like toothpaste emulsion in the gall bladder

Explanation: Ans. is 'c' i.e. Like toothpaste emulsion in the gall bladder